Insulin resistance state causing hyperglycemia is present in ?
1. Acromegaly
2. Osteomalacia
3. Liver cell carcinoma
4. Somatostatinoma

Correct answer: 1. Acromegaly

Explanation: Ans. is 'a' i.e., Acromegaly Endocrinopathies associated with hvperglvcia and insulin resistance state are: Acromegaly Cushing syndrome Hyperthyroidism Pheochromocytoma Glucagonoma